Conversion of glycine to serine requires
1. Folic acid
2. Thiamine
3. Vit. C
4. Fe2+

Correct answer: 1. Folic acid

Explanation: Conversion of glycine to serine require folic acid. From serine, The beta carbon of serine is channelled into the one-carbon pool, carried by THFA (tetrahydro folic acid). The alpha carbon of serine becomes the alpha carbon of glycine. Serine is the most important source of One-Carbon units Serine Hydroxy Methyl Transferase is the enzyme involved in this pathway. Ref: DM Vasudevan - Textbook of Biochemistry, 8th edition, page no: 475